All are seen in chronic MS except-
1. Mid diastolic murmur
2. Opening snap
3. S3
4. Loud S1

Correct answer: 3. S3

Explanation: The first heart sound (S 1 ) is usually accentuated and slightly delayed. The pulmonic component of the second heart sound (P 2 ) also is often accentuated, and the two components of the second heart sound (S 2 ) are closely split. The opening snap (OS) of the mitral valve is most readily audible in expiration at, or just medial to, the cardiac apex. The time interval between A 2 and OS varies inversely with the severity of the MS. The OS is followed by a low-pitched, rumbling, diastolic murmur, heard best at the apex with the patient in the left lateral recumbent position In patients with sinus rhythm, the murmur often reappears or becomes louder during atrial systole (presystolic accentuation). Hepatomegaly, ankle edema, ascites, and pleural effusion, particularly in the right pleural cavity, may occur in patients with MS and RV failure. ( Harrison's principle of internal medicine,18th edition,pg no. 1930)